Urachus is the remnant of
1. Allantois
2. Meckel's diverticulum
3. Umbilcal artery
4. Left umbilical vein

Correct answer: 1. Allantois

Explanation: xThe developing bladder is continuous cranially with the allantois.it is uncertain whether the allantois contributes to the formation of the bladder .the allantois atrophies and is seen in postnatal life as a fibrous band the urachus extending from the apex of bladder to umbilicus Ref Human embryology Inderbier Singh Tenth edition Page no 292